Safe disposal of mercury is -
1. Collect carefully and recycle
2. Controlled combustion
3. Treatment with chemicals
4. Deep burial

Correct answer: 1. Collect carefully and recycle

Explanation: Ans. is 'a' i.e., Collect carefully and recycle o All mercury and mercury-containing items should be recycled. o It should never be poured down a drain or sewer, flushed down a toilet, or thrown in the thrash. o As long as mercury is recycled, it will stay in the recycling loop, going into new products rather than into the environment.